HRT is useful in all except
1. Flushing
2. Osteoporosis
3. Vaginal atrophy
4. Coronary heart disease

Correct answer: 4. Coronary heart disease

Explanation: Ans. is 'd' i.e. Coronary artery disease HRT refers to the use of oestrogen treatment in order to reverse or prevent problems due to the loss of ovarian hormone secretion after the menopause, whether physiological or induced.The tissues sensitive to estrogen include brain, bone, skin cardiovascular and genitourinary tissues.Consequently the two aims of hormone replacement therapy are:To reduce the everyday symptoms of oestrogen loss; hot flushes, sleeplessness, lethargy, depression and vaginal dryness. All types of HRT (oestrogen with or without progesterone) are effective in reducing the hot flushes experienced by more than 50% of postmenopausal women.The benefit is most during the first year of treatment when 80% of women report a reduced likelihood of flushes.The other major use from HRT is the relief of vaginal dryness.Vaginal administration is the most effective route for treatment of dyspareunia and related symptoms.To prevent fracturesEstrogen prevents osteoporotic fracturesEffect of HRT on coronary artery diseaseUntil recently it was believed that beneficial effect of estrogen on lipids, decrease the risk of coronary artery disease in women on hormone replacement therapy.However two recent landmark clinical trials "Heart and Estrogen progestin replacement study (HERS)" and "women health initiative (WHI)" have radically altered the approach of HRT.* According to these trials, the benefits and harms of these therapy are: